Algor mortis is -
1. Rise of body temperature after death
2. Cooling of body
3. Persistent body spasm
4. Postmortem colouration

Correct answer: 2. Cooling of body

Explanation: Algor mortis is cooling of body after death. It is due to stoppage of energy and heat production after death. Dr. Narayana Reddys Synopsis of Forensic Medicine and Toxicology 27th edition pg. 75.